A 60 year old male patient complains of bleeding from gums and loss of appetite. Histopathologic examination reveals basophilic leukocytosis. This patient may be suffering from?
1. Hodgkin lymphoma
2. Systemic lupus erythematosus​
3. Chronic myeloid leukemia
4. Bordetella pertussis infection

Correct answer: 3. Chronic myeloid leukemia